Antibodies most commonly seen in drug induced lupus are:
1. Anti ds DNA Antibodies
2. Anti Sm Antibodies
3. Anti-Ro Antibodies
4. Antihistone Antibodies

Correct answer: 4. Antihistone Antibodies

Explanation: Answer is D (Antihistone Antibodies): The most commonly used marker for drug induced lupus is Antihistone Antibodies. Drug Induced Lupus is characterized serologically by the presence of Anti-Histone Antibodies and the absence of antibodies against double stranded DNA (dsDNA Antibody Negative; Anti-Histone Antibody Positive). Anti-dsDNA Serology in Drug Induced Lupus Erythematosus Almost all patients with Drug Induced Lupus will test positive for Antinuclear Antibodies (Positive ANA Test) The spectrum of Antinuclear antibodies in Drug Induced Lupus includes Positive Antihistone antibodies (most common; not specific; also seen in SLE) Positive autoantibodies against single stranded DNA (common ; not specific; also seen in SLE) Negative (absence of) autoantibodies against double stranded DNA(dsDNA) The presence of autoantibodies against dsDNA strongly suggests a diagnosis of SLE Drug Induced Lupus is typically associated with a Homogeneous ANA pattern due to the presence of Antihistone Antibodies Antibodies are seen in less than 5 percent of patients with Drug Induced Lupus The presence of Antihistone antibodies alone is not a specific test for diagnosis of Drug Induced Lupus as Antibodies to histones may also be seen in up to 50 to 80 percent of patients with idiopathic SLE. Note : Hypocomplementemia is uncommon in Drug Induced Lupus but not in SLE.